In a class III cavity in an incisor tooth the retentive points are placed:
1. At the expense of facial and Lingual walls and not in dentin
2. Entirely in dentin
3. In axial wall
4. By placing a groove in the lingual surfaces

Correct answer: 2. Entirely in dentin